A six year old child is posted for elective urology surgery under general anesthesia. He refuses to allow the anaesthesiologist an I.V. access. The best inhalational agent of choice for induction of anesthesia is
1. Sevoflurane
2. Methoxyflurane
3. Desflurane
4. Isoflurane

Correct answer: 1. Sevoflurane

Explanation: Sevoflurane appears to have a greater therapeutic index than halothane and has become a preferred induction agent in pediatric anesthesia.